SAFE strategy does not include which of the following?
1. Surgery of lids
2. Antibiotics
3. Follicular stage prevention
4. Environmental hygeine

Correct answer: 3. Follicular stage prevention

Explanation: SAFE strategy includes

Surgery of lids
Antibiotics
Facial cleanliness
Environmental hygiene